Milk ejection is facilitated by:
1. Prolactin
2. Oxytocin
3. Growth hormone
4. ACTH

Correct answer: 2. Oxytocin

Explanation: Ans. (b) OxytocinHormones from Anterior PituitaryHORMONESMAJOR FUNCTIONSGrowth hormoneStimulates protein synthesis and overall growth of most cells and tissuesTSHStimulates synthesis and secretion of thyroid hormones (T3 & T4)Adrenocorticotropic hormone (ACTH)Stimulates synthesis and secretion of adrenocortical hormones (cortisol, androgens, and aldosterone)ProlactinPromotes development of the female breast and secretion of milkFollicle-stimulating hormone (FSH)Causes growth of follicles in the ovaries and sperm maturation in sertoli cells of testesLuteinizing hormones (LH)Stimulates testosterone synthesis in Leydig cells of testes; stimulates ovulation, formation of corpus luteum, and estrogen and progesterone synthesis in ovaries.Hormones from Posterior PituitaryAntidiuretic hormone (ADH)/ VasopressinIncrease water reabsorption by the kidneys and cause vasoconstriction and increased blood pressureOxytocinStimulates milk ejection from breasts and uterine contractions